At the age of 11, total number of teeth are :
1. 12
2. 20
3. 24
4. 30

Correct answer: 3. 24

Explanation: At age of 11number of teeth are 24, of which 20 are permanent consisting of 8 incisors, 4 molars, 8 premolars and 4 deciduous teeth. Number of teeth with age: Age Number of teeth 2-5 20(all deciduous) 6 21-24(eruption of first permanent molars) 7-9 24(12 permanent, 12 deciduous) 10 24(16 permanent, 8 deciduous) 11 24(20 permanent, 4 deciduous) 12-14 25-28(eruption of second permanent molars) 14-17 28(all permanent) 17-25 29-32(eruption of 3rd molars) Ref: Review of Forensic Medicine and Toxicology By Gautam Biswas page 8.